All of the following are properties of synovial fluid Except
1. It is a pale yellow , clear and sufficiently viscous fluid that droplets expelled from a needle tip fall in a long string
2. It is a Non Newtonian fluid
3. It doesn't clot since it lacks in fibrinogen
4. Normal WBC count in synovial fluid is 350 - 3500 / mm3

Correct answer: 4. Normal WBC count in synovial fluid is 350 - 3500 / mm3

Explanation: Normal WBC Count - 0-300 / ml of synovial fluid